Comparison of efficacy of a new drug B with an existing drug A is done in which phase of clinical trials?
1. Phase I
2. Phase II
3. Phase III
4. Phase IV

Correct answer: 3. Phase III

Explanation: "The purpose of phase III trials is to obtain adequate data about the efficacy and safety of drugs in a larger number of patients of either sex in multiple centres usually in comparison with the standard drug." Phase I: Human Pharmacology (Non-therapeutic trials): Done in healthy persons Phase II: Therapeutic exploratory trials: conducted in patients to determine therapeutic effects, effective dose range and further evaluation of safety and pharmacokinetics in patients Phase III: Therapeutic confirmatory trials: Conducted to obtain adequate data about the efficacy and safety of drugs in a larger number of patients of either sex in multiple centres usually in comparison with the standard drug. Phase IV: Post marketing studies